Antibody transfer mother to fetus -
1. IgG
2. IgM
3. IgD
4. IgA

Correct answer: 1. IgG

Explanation: Ans. is 'a' i.e., IgG